All of the following are direct DNA interacting cytotoxic agents except
1. Melphalan
2. Hydroxyurea
3. Carmustine
4. Ifosfamide

Correct answer: 2. Hydroxyurea

Explanation: All other agents are alkylating agents , whereas hydroxyurea is an anti metabolite acts at S phase of cell cycle indirectly affect DNA molecules.